A 42-year-old man with sexual interest in children (pedophilia) is given an electric shock each time he is shown a videotape of children. Later, he feels tense around children and avoids them. Which of the following management techniques does this example illustrate?
1. Implosion
2. Biofeedback
3. Aversive conditioning
4. Flooding

Correct answer: 3. Aversive conditioning

Explanation: The management technique described here is aversive conditioning, in which a maladaptive but pleasurable stimulus (for this man, sexual interest in children) is paired with painful stimulus (e.g., a shock) so that the two become associated. Flooding - Type of behavioral therapy in which maximum stimulus is given in first exposure. Biofeedback - Uses principle of operant conditioning Useful in disorders which are caused by autonomic dysfunction such as tension headache Eg use of EMG to control muscle tone in disorders such as Bruxism.